which of the following is the vector for Zika virus
1. Aedes Aegypti
2. Culex tritorenorhynchus
3. Anopheles
4. Phlebotomies papatasii

Correct answer: 1. Aedes Aegypti

Explanation: ZIKA VIRUS Flavivirus vector = Aedesegypt Specimen 1 serum 2 wholeblood 3 urine =Best 4 CSF not recommended symptoms similar to chicken gunya FDA = EUA =Emergency use authorization TRIOPLEX r PCR Zika MAC eLISA ref: ANANTHANARYANA MICROBIOLOGY